Successful treatment of chancroid is when
1. Symptomatic improvement occurs within 1 week.
2. Objective improvement occurs within 1 week.
3. Symptomatic improvement occurs within 2 weeks.
4. Objective improvement occurs within 2 weeks.

Correct answer: 2. Objective improvement occurs within 1 week.

Explanation: Successful treatment of chancroid leads to symptomatic improvement in 3 days, and objective evidence of improvement within 1 week.